Which is first and commonest clinical manifestation of Epidemic dropsy –
1. Bilateral swelling of legs
2. Gastrointestinal upsets
3. Cardiac decomposition
4. Sarcoid

Correct answer: 1. Bilateral swelling of legs